Which of the following should be done for an acute onset painful scrotal swelling in 12 years old male?
1. Doppler stethoscope evaluation
2. Administer analgesics
3. Advise bed rest
4. Administer antibiotics

Correct answer: 1. Doppler stethoscope evaluation

Explanation: Ans. is 'a' i.e., Doppler stethoscope evaluation * Acute onset painful scrotal swelling in 12 years old preadolescent male is most probably due to torsion of testis. In suspected cases of torsion of testis or testicular appendage a doppler stethoscope should be used to evaluate blood flow to the testicles (if decreased or absent, suspect testicular torsion and prepare the patient for surgery).